Blessful anosmia is associated with
1. Allergic rhinitis
2. Rhinitis medicamentosa
3. Atrophic rhinitis
4. Chronic rhinitis

Correct answer: 3. Atrophic rhinitis

Explanation: (C) Atrophic rhinitis # Disease is commonly seen in females and starts around puberty.> There is foul smell from the nose making the patients a social outclass though patient himself is unaware of the smell due to marked anosmia (Merciful anosmia) which accompanies these degenerative changes.